Lynch syndrome is associated with cancers of the
1. Breast ,colon, ovary
2. Breast , endometrium, ovary
3. Breast ,colon,endometrium
4. Colon,endometrium ,ovary

Correct answer: 4. Colon,endometrium ,ovary

Explanation: Ref Harrison 17/e p575; Robbins 8/e p821- 822; 9/e p 810 Lynch syndrome is an autosomal dominant disorder it is called as hereditary non polyposis colon cancer It is caused because of defective DNA repair genes leading to micro satellite instability There is increased chances of multiple cancer such as colorectal cancer, endometrial,ovarian stomach, ureter, brain, small intestine,hepatobiliary tract, skin